NOT true about Facial Vein is:
1. Drains into External Jugular Vein
2. Largest Vein of Face
3. Continuation of Angular Vein
4. Has no valves

Correct answer: 1. Drains into External Jugular Vein

Explanation: Facial vein is the largest vein of face with no valves. It begins as angular vein, joins anterior division of retromandibular vein to form common facial vein, which in turn drains into internal jugular vein.